Erlen Meyer Flask Deformity is seen in?
1. Osteopetrosis
2. Thalassemia
3. Craniometaphyseal dysplasias
4. All

Correct answer: 4. All

Explanation: Mnemonics for Erlen Meyer Flask Deformity (CHONG) C: craniometaphyseal dysplasias/Pyles disease H: haemoglobinopathies thalassemia sickle cell disease O: osteopetrosis N: Niemann-Pick disease G: Gaucher disease Radiographs showed a nondisplaced fracture and undeubulation of the distal femoral diaphysis -- a condition known as Erlenmeyer-flask deformity.